Cutaneous larva migrans is caused by:
1. A. braziliense
2. Toxocara cani
3. Strongyloides
4. Necator americana

Correct answer: 1. A. braziliense

Explanation: Ans. A i.e. A. braziliense Cutaneous larva migrans(CLM) It is a skin disease in humans, caused by the larvae of various nematode parasites of the hookworm family (Ancylostomatidae). The most common species causing this disease in the Americas is Ancylostoma braziliense. These parasites live in the intestines of dogs, cats and wild animals and should not be confused with other members of the hookworm family for which humans are definitive hosts, namely Ancylostoma duodenale and Necator americanus. Colloquially called creeping eruption due to its presentation, the disease is also somewhat ambiguously known as "ground itch" or (in some parts of the Southern USA) "sandworms", as the larvae like to live in sandy soil. Another vernacular name is plumber's itch. The medical term CLM literally means "wandering larvae in the skin"